All are true regarding Anklosing spondylitis except -
1. Sacroilitis
2. HLA -B27
3. Iridocyclitis
4. More common in females

Correct answer: 4. More common in females

Explanation: Ankylosing spondylitis is more common in males (not females).